Among the following, the structure that passes deep to the flexor retinaculum is:
1. Tibialis anterior
2. Tibialis posterior
3. Peroneus brevis
4. Peroneus longus

Correct answer: 2. Tibialis posterior

Explanation: Tibialis posterior